Apoprotein for chylomicron remnant:-
1. Apo E
2. Apo C1
3. Apo A2
4. Apo A1

Correct answer: 1. Apo E

Explanation: APOPROTEIN -PROTEIN PRESENT IN LIPOPROTEIN Lipoprotein Protein Chylomicron APO B48 Chylomicron remnant APO B48 + APO E VLDL APO B100 IDL APO B100 + APO E LDL APO B 100 + APO E HDL APO A, C, E